A lady with abdominal mass was investigated. On surgery, she was found to have bilateral ovarian masses with smooth surface. On microscopy they revealed mucin-secreting cells with signet ring shapes. Most probable diagnosis is:
1. Krukenberg tumor
2. Dysgerminoma
3. Mucinous adenocarcinoma of the ovaries
4. Dermoid cyst

Correct answer: 1. Krukenberg tumor

Explanation: Ans: A. Krukenberg tumor(Ref Robbins 9/e p1034: 8/e p1050)Krukenberg tumor:Classic metastatic gastrointestinal carcinoma involving ovaries.Features:Characterized by bilateral metastases composed of mucin-producing, signet-ring cancer cells, most often of gastric origin.